Hypophosphatemia is seen in -a) Pseudohypoparathyropdismb) CRFc) Ricketsd) Hyperparathyroidisme) Respiratory acidosis
1. ab
2. cd
3. bd
4. ac

Correct answer: 2. cd